A 2-year-old child attending daycare develops diarrhoea and gastroenteritis as a result of adenoviral infection. Which of the following adenoviral serotypes would most likely be responsible for this girl's illness?
1. Type 4
2. Type 7
3. Type 19
4. Type 41

Correct answer: 4. Type 41

Explanation: Adenoviral types 40, 41, and 42 have been shown to be associated with gastrointestinal disease in infants. Adenoviral types 4 and 7, commonly cause upper respiratory infections in military recruits; adenoviral types 19 and 37 have been implicated in causing epidemic keratoconjunctivitis. Ref Robbins 9/e pg 567